Waterhouse-Friderichsen syndrome is seen in ?
1. Pneumococci
2. N. Meningitidis
3. Pseudomonas
4. Yersinia

Correct answer: 2. N. Meningitidis

Explanation: Ans. is 'b' i.e., N. Meningitidis Fulminant meningococcemia (purpura fulminans or Waterhouse - Friderichsen syndrome) is the most rapidly lethal form of septic shock experienced by humans. It differs from most other form of septic shock by the prominance of hemorrhagic skin lesions (petechiae, purpura) and the consistent development of DIC.